WHICH OF THE FOLLOWING IS TRUE REGARDING BRACHYTHERAPY ?
1. ALWAYS GIVES HOMOGENOUS RADIATION
2. SAME AS TELETHERAPY
3. USEFUL IN CARCINOMA CERVIX
4. ALL THE ABOVE

Correct answer: 3. USEFUL IN CARCINOMA CERVIX

Explanation: CLINICAL APPLICATIONS * Brachytherapy can be used in combination with other therapies such as surgery, EBRT or chemotherapy, particularly when the tumor is too large or is not easily accessible. * Brachytherapy has been most widely applied in the treatment of: Cervical Prostate Breast and skin cancers Brachytherapy can also be used to treat tumors in several other body sites. REF : DAVID SUTTON 9TH ED